Penicillin should be given to a patient with group A beta haemolytic streptococci infection of the tonsils for a period of:
1. 3-5 days
2. 10-14 days
3. 21 days
4. 1 month

Correct answer: 2. 10-14 days